Once weekly administration of which of the following antibiotics has prophylactic activity against bacteraemia caused by M.avium complex in AIDS patient
1. Azithromycin
2. Clarithromcycin
3. Isoniazide
4. Rifabutin

Correct answer: 1. Azithromycin

Explanation: (Ref: KDT 6/e p730, 731) The regimen used for the treatment of Mycobacteriun avi complex in AIDS patients is REC (Rifabutin, ethambutol and clarithromycin). These drugs are given once daily. Clarithromycin can be replaced with azithromycin which is long acting and can be administered once a week.